Lying between 2-4 years of age indicate:
1. Antisocial behaviour
2. Testing parenteral attitude
3. As an adventure
4. Oppositionalism

Correct answer: 2. Testing parenteral attitude

Explanation: Ans. b (Testing parenteral attitude). (Ref. Nelson, Textbook of Paediatrics, 18th/131)BEHAVIORAL DISORDERS in children (noted around 2-4 year age)# Include : Lying, Impulsiveness, Breathe holding, Decence and Temper tantrums.# Oppositionalism, temper tantrums, and breath holding spells are not unusual during the 1st years of life and are age- typical expressions of frustration or anger. Parental and caregiver response to these behaviors is very important.# Pharmacotherapy for aggression or disruptive and antisocial behavior is generally used as an adjunct to family-based therapy, parent training, or multisystemic therapy.Lying:# 2 - 4 year old children often use lying as a method of playing with language.# By observing reaction of parents preschoolers born about expectations for honesty in communicator.# It is also a form of fantasy for them.# In school goers lying is most often to cover up something that child does not want to accept in behavior.# Lie is also to protect against loss of self-esteem.# As with other antisocial behaviors, lying may be used as a method of rebellion.Tantrums:They are also prone to lose internal control, that is, to have temper tantrums. Fear, over-tiredness, inconsistent expectations, or physical discomfort can also evoke tantrums. Tantrums normally appear towards the end of the 1st yr of life and peak in prevalence between 2 and 4 yr of age. Tantrums lasting more than 15min or regularly occurring more than 3 times day may reflect underlying medical, emotional, or social problems.